Closing of midline diastema by using a removable appliance
1. Reciprocal single simple anchorage
2. Reciprocal simple compound anchorage
3. Reciprocal stationary single anchorage
4. Reciprocal stationary compound anchorage

Correct answer: 1. Reciprocal single simple anchorage